Ca prostate most common metastasis to
1. Skull
2. Femur
3. Lumbar spine
4. Sacrum

Correct answer: 3. Lumbar spine

Explanation: Answer- C. Lumbar spineMost common metastatic sites of prostate carcinoma are lymph nodes & bones.Lymphatic metastasis occurs most commonly to - obturator lymph nodes.Most common site of bony metastasis is lumbar spine.